NREM sleep is associated with:-
1. Basal forebrain area
2. Dorsal raphe nucleus
3. Medulla
4. All of the above

Correct answer: 4. All of the above

Explanation: NREM sleep generation is associated with 5 anatomical sites: * Basal forebrain area Thalamus Hypothalamus Dorsal raphe nucleus Nucleus tractus solitaries of the medulla Preoptic lesions produce hyposomnia, whereas electrical and thermal stimulation of this area produces sleep changes. Thalamus (especially reticular formation) plays an active role in production of cortical sleep spindles and delta waves.